Congugated hyperbilirubinemia in neonates is a feature of _________
1. Breast milk jaundice
2. Gilbert's syndrome
3. Hypothyroidism
4. Rotor syndrome

Correct answer: 4. Rotor syndrome

Explanation: In case of breast milk jaundice,gilbert's syndrome and hypothyroidism {cretenism} we get unconjugated hyperbilirubinemia. Ref : ESSENTIAL PEDIATRICS,O.P.GHAI, PG NO:149, 7th edition